The ductus arteriosus is derived from the following aortic arch
1. 3rd
2. 4th
3. 5th
4. 6th

Correct answer: 4. 6th

Explanation: The part of the left sixth arch artery, between the branch to the lung bud and aorta,forms the ductus arteriosus HUMAN EMBRYOLOGY-INDERBIR SINGH TENTH EDITION-PAGE NO:255